Alopecia aerata is –
1. Cicatricial scar
2. Non cicatricial scar
3. Fungal infection
4. None

Correct answer: 2. Non cicatricial scar